In a controlled trial to compare two treatments, the main purpose of randomization is to ensure that -
1. The two groups will be similar in prognostic factors
2. The clinician does not know which treatment the subjects will receive
3. The sample may be referred to a known population
4. The clinician can predict in advance which treatment the subjects will receive

Correct answer: 1. The two groups will be similar in prognostic factors